Child with mild squint. Intrauterine, birth history, developmental history till date all normal. Corneal reflex normal. All other eye parameters normal except exaggerated epicanthal fold. Diagnosis -
1. Pseudostrabismus
2. Accommodative squint
3. Exophoria
4. Esophoria

Correct answer: 1. Pseudostrabismus

Explanation: Pseudostrabismus (apparent squint) may be associated with : Prominent epicanthal fold (which covers the normally visible nasal aspect of the globe and gives a false impression of esotropia) Ref: A.K.Khurana ; 6th edition ; Page no: 344